Eutectic lignocaine–prilocaine has the following unique property :
1. It causes motor blockade without sensory block
2. By surface application, it can anesthetize unbroken skin
3. It is not absorbed after surface application
4. It has strong vasoconstrictor action

Correct answer: 2. By surface application, it can anesthetize unbroken skin